Muscle relaxant of choice in patient suffering from chronic liver disease
1. Pancuronium
2. Atracurium
3. Mivacurium
4. Vecuronium

Correct answer: 2. Atracurium

Explanation: Atracurium is preferred in CLD patients since it is metabolised by Hoffmann elimination.